Agents used for sclerotherapy in varicose veins are all except
1. Ethanolamine oleate
2. Sodium tetradecyl sulphate
3. Polidocanal
4. Mannitol

Correct answer: 4. Mannitol

Explanation: Mannitol is not a sclerosing agent.